Which of the following criteria is used to diagnose Atopic dermatitis?
1. Amber criteria
2. SCAR - J
3. Hanifin & Rajka criteria
4. Rutherford criteria.

Correct answer: 3. Hanifin & Rajka criteria

Explanation: Hanifin & Rajka criteria is used to diagnose Atopic dermatitis.
It is necessary to have 3 major and 3 minor criteria to make the diagnosis of Atopic dermatitis.